"Tracking" of blood pressure means:
1. Pictorial representation of serial blood pressures of an individual
2. High blood pressures in children tend to perpetuate in adults
3. Controlling high BP with nifedipine
4. None of ther above

Correct answer: 2. High blood pressures in children tend to perpetuate in adults

Explanation: If blood pressures of individuals are followed from early childhood to adult years, then it is seen that individuals with higher BPs initially tend to continue to have higher BPs as adults. This phenomenon is called tracking of blood pressures. Ref: Park 21st edition, page 346.